The management of eclampsia includes all except:
1. Control of convu1sion
2. Prolongation of pregnancy
3. Control of BP
4. Delivery of fetus

Correct answer: 2. Prolongation of pregnancy

Explanation: Ans: B (Prolongation of pregnancy) Ref: DC Dutta's Textbook of Obstetrics, 7th edn, p232Explanation:EclampsiaConvulsions/coma occurring in a women with preeclampsiaAnte partum eclampsia - Most common type of eclampsia (50%)Postpartum eclampsia - occurs within 48 hours after deliveryIntercurrent eclampsia - pregnancy continues beyond 48 hours after recoveryPRINCIPLES OF MANAGEMENT IN ECLAMPSIAMaintain airway, breathing and circulationOxygen administrationPrevention of injuryArrest of convulsionsControl BPDeliver by 6-8 hoursPrevention of complicationsVentilatory support (if required)Postpartum careDrug of ChoiceMagnesium sulphatePritchard regimenLoading dose - 4 gm slow IV (20%) + 10 gm IMMaintenance dose - 5 gm IM q 4 hoursMonitorUrine outputRespiratory rateKnee jerksTherapeutic level of serum MgSO4 - 4-7 meq/L.MgSO4 continued for 24 hours after the last seizure or delivery whichever is later.Status EclamptieusFits occurring in quick successionManagementThiopentone sodiumMuscle relaxation and assisted ventilation